Which of these are seen on Romanowsky stain
1. Cabot ring
2. Basophilic strippling
3. Howell_jolly bodies
4. All of the above

Correct answer: 4. All of the above

Explanation: Ref : PJ Mehta 16/e p372,T. Singh 1/e p34 Ref Robbins 9/e pg 24 Romanowsky dyes are used for staining blood films,They are made up of combination of acid and basic dyes. The nucleus and neutrophils granules are basophilic and stains blue.hemoglobin is acidophilic and stains red. Various modification available are leishman's stain,Wright's stain, Giemsa and and Jenner's stain. Basophilic stripping,Howell jolly bodies and Cabot rings are seen by romanowsky stain